Which of the following can be givenorally -
1. Cytosine ara
2. Actinomycin D
3. Doxorubicin
4. Mesna

Correct answer: 4. Mesna

Explanation: Ans. is 'd' i.e., Mesna o MESNA is given alongwith alkylating agents to prevent nephrotoxicity due to cyclophosphamide. o It can be administered intravenously or orally. Cytarabine Cytarabine (Ara C) is degraded by the enzyme cytidine deaminase. Cytidine deaminase is present in high concentrations in g.i. tract therefore only about 20% of the drug reaches the circulation after oral Ara-C administration. Thus the drug must be given intravenously. Dactinomvcin or Actinomvcin D o It is administered by intravenous route. Doxorubicin It is administered intravenously and are cleared by complex pattern of hepatic metabolism and biliary excretion.